A patient of Rheumatic heart disease developed infective endocarditis after dental extraction. Most likely organism causing this is:
1. Streptococcus viridans
2. S.epidermidis
3. S.aureus
4. Pneumococci

Correct answer: 1. Streptococcus viridans

Explanation: Following tooth extraction, Streptococcus viridans gets lodged into previously damaged valve.